Which of the following is true about the WHO analgesic ladder for chronic pain in adults?
1. Analgesics are given 'on demand'
2. Morphine used for severe pain
3. Adjuvants are indicated only for mild pain
4. Non opioid analgesic are given for moderate pain.

Correct answer: 2. Morphine used for severe pain

Explanation: The 3 main principles: By the clock: Drugs should be given "around the clock" rather than "on demand". By the mouth: Oral route is preferred. By the ladder: Non-opioids - Mild opioids - Strong opioids. Non opioid analgesic are given for mild pain. Adjuvants can be used for mild, moderate and severe pain